The following drugs can be used to suppress lactation, except :
1. Cabergoline
2. Pyridoxine
3. High dose estrogens
4. Metoclopramide

Correct answer: 4. Metoclopramide

Explanation: Metoclopramide